A patient underwent complicated surgery for chronic pancreatitis. The most preferred route for supplementary nutrition in this patient would be:-
1. Total parenteral nutrition
2. Feeding gastrostomy
3. Feeding jejunostomy
4. Oral feeding

Correct answer: 3. Feeding jejunostomy

Explanation: Enteral nutrition is preferred over Total parenteral nutrition as it Maintains gut barrier integrity Limits bacterial translocation Less expensive Fewer complications Order of preference - Feeding jejunostomy > Feeding gastrostomy Oral feeding is started at later stages